N-acetyl cysteine replenishes intracellular levels of
1. Sodium
2. Potassium
3. Glutathione
4. None of the above

Correct answer: 3. Glutathione